Cock's peculiar tumour is:
1. Infected sebaceous cyst
2. Osteomyelitis of skull
3. Cyst in the skull
4. Tumour of the skull

Correct answer: 1. Infected sebaceous cyst

Explanation: Ans. A: Infected sebaceous cyst Cock's peculiar tumour is a sebaceous cyst linked growth. One form of sebaceous cyst is the trichilemmal cyst; these are thought to arise from the hair follicle epithelium and are most commonly found on the scalp. Usually they are multiple but occasionally there can be a proliferating trichilemmal cyst which grows to a large size and ulcerates. These can resemble a squamous cell carcinoma (both clinically and histologically) and these ulcerating solitary cysts are called Cock's peculiar tumour.